All of the following belong to the group of microbial sensors, EXCEPT:
1. TLRs
2. NOD-like receptors (NLRs)
3. MDA-5
4. None of the above

Correct answer: 4. None of the above

Explanation: When a pathogen enters the skin, it is confronted with macrophages and other phagocytic cells possessing "microbial sensors." There are three major groups of microbial sensors: (1) TLRs, (2) NOD-like receptors (NLRs), and (3) RIG-1 like helicases and MDA-5. Ref: Brooks G.F. (2013). Chapter 8. Immunology. In G.F. Brooks (Ed), Jawetz, Melnick, & Adelberg's Medical Microbiology, 26e.